Rhinosporidum seeberi is a
1. Fungi
2. Bacteria
3. Protozoa
4. Mesomycetozoa

Correct answer: 4. Mesomycetozoa

Explanation: ** R.seeberi is no more considered a fungi"R.seeberi, particularly that it is not a classic fungus "but rather the first known human pathogen from the DRIPs clade, a novel clade of aquatic protistan parasites. (Mesomycetozoa) "Rhinosporidiosis:*Causative agent: Rhinosporidium seeberi*Distribution: Argentina, Sri Lanka, and India*Mode of infection: stagnant water and soil (following trauma entry of fungus occurs)*Clinical features: Chronic granulomatous disease with friable polyps, usually confined to the nose, mouth or eye and rarely in genitals*Diagnosis:O Histopathological examination with H & E- shows sporangia enclosing endoconidiaO Other stains: GMS, PAS*Non-capsulated organism*Treatment: surgical removalRef: Ananthanarayan 9th edition, p 603